Mass chemoprophylaxis in endemic area is recommended for all of the following, except:
1. Yaws
2. Leprosy
3. Trachoma
4. Filaria

Correct answer: 2. Leprosy